Drug resistance transfer by bacteriophage involves?
1. Transduction
2. Conjugation
3. Transformation
4. Convocation

Correct answer: 1. Transduction

Explanation: TRANSDUCTION: the transfer of a portion of the DNA from one bacterium to another by a bacteriophage is known as transduction. Bacteriophages are viruses that parasitize the bacteria and consist of a nucleic acid core and a protein coat. a phage particle may have its core beside its own nucleic acid a segment of hostDNA. when this particle infects another bacterium DNA transfer is effected and the recipient cells acquire new characteristic coded by the donor DNA REF:Ananthanarayan and Panicker's Textbook ofMicrobiology 8thEdition pg no:63